Black tongue and black teeth are seen in abuse of
1. Cocaine
2. Cannabis
3. LSD
4. Heroin

Correct answer: 1. Cocaine

Explanation: - Black tongue and black teeth are seen in abuse of cocaine - Habitual inhalation of cocaine or heroin (snoing or sniffing) cause perforation of the nasal septum - Froth may be seen at the mouth and nose